Painless burn in hand is seen in:
1. SLE
2. Syringomyelia
3. Mononeuritis multiplex
4. Diabetes mellitus

Correct answer: 2. Syringomyelia

Explanation: Syringomyelia is associated with Arnold Chiari malformation type 1 IOC: - MRI spine